Pulmonary hypoplasia with urinary problems is associated with-
1. Mobius syndrome
2. Potter’s syndrome
3. Patau Syndorme
4. WAGR syndrome

Correct answer: 2. Potter’s syndrome

Explanation: (Refer: Nelson’s Textbook of Pediatrics, SAE, 1st edition, pg no. 2554)
 
Potter’s syndrome

Potter syndrome refers to the typical physical appearance and associated pulmonary hypoplasia of a neonate as a direct result of oligohydramnios and compression while in utero.
In Potter syndrome, the primary problem is kidney failure mostly due to renal agenesis.  The kidneys fail to develop properly as the baby is growing in the womb.